Cardiogenic shock occurs as a result of:
1. Excessive vasodilation and possibly increased capillary permeability.
2. Severe central nervous system trauma that causes a rapid loss in sympathetic stimulation.
3. Reduction in intravascular fluid volume.
4. Myocardial dysfunction.

Correct answer: 4. Myocardial dysfunction.

Explanation: D: Myocardial infarction can lead to cardiogenic shock.
A: Option A is anaphylactic-shock
B: Option B is neurogenic-shock
C: Option C is hypovolemic-shock